Ifosfamide belongs to which group of anticancer drugs?
1. Alkylating agents
2. Antimetabolites
3. Mitotic inhibitors
4. Topoisomerase inhibitors

Correct answer: 1. Alkylating agents

Explanation: Ifosfamide is an alkylating agent.